Raltegravir belongs to
1. NRTIs
2. NNRTIs
3. INSTIs
4. CCR5 antagonist

Correct answer: 3. INSTIs

Explanation: More than 25 antiretrovirals (ARV) drugs in six mechanistic classes are Food and Drug Administration (FDA)-approved for treatment of HIV infection. These six classes include the nucleoside/nucleotide reverse transcriptase inhibitors (NRTIs), non-nucleoside reverse transcriptase inhibitors (NNRTIs), protease inhibitors (PIs), a fusion inhibitor (FI), a CCR5 antagonist, and integrase strand transfer inhibitors (INSTIs). In addition, two drugs, ritonavir (RTV or r) and cobicistat (COBI or c) are used solely as pharmacokinetic (PK) enhancers (or boosters) to improve the pharmacokinetic profiles of some ARV drugs (e.g., PIs and the INSTI elvitegravir ).Dolutegravir , Elvitegravir , Raltegravir are integrase strand transfer inhibitors (INSTIs).